A diabetic mother gives birth to a baby who dies in the first week of life. Autopsy reveals a severe cardiac malformation. Which of the following is the most likely diagnosis?
1. Atrial septal defect
2. Coarctation of the aorta
3. Eisenmenger's syndrome
4. Transposition of the great arteries

Correct answer: 4. Transposition of the great arteries

Explanation: Maternal diabetes is best known for causing large but immature-for-age babies. There is also a specific association between maternal diabetes and transposition of the great vessels. In transposition of the great vessels, the aorta takes off from the anterior part of the right ventricle and the pulmonary trunk takes off from the posterior part of the left ventricle. This produces a complete separation of the systemic and pulmonary circulations. Without surgical correction, most affected infants die within the first months of life, although a patent ductus arteriosus, patent foramen ovale, or ventricular septal defect may allow enough mixing of blood to temporarily sustain life. In atrial septal defect blood can pass from one atrium to the other. Associate coarctation of the aorta with Turner syndrome. Eisenmenger's syndrome is a shift from a left-to-right shunt to a right-to-left shunt secondary to developing pulmonary hypertension. Ref: McAnulty J.H., Broberg C.S., Metcalfe J. (2011). Chapter 97. Heart Disease and Pregnancy. In V. Fuster, R.A. Walsh, R.A. Harrington (Eds), Hurst's The Heart, 13e.